The type of bone present in the labial area of anterior teeth is
1. Cortical
2. Cancellous
3. Osteophytic
4. Exophytic

Correct answer: 1. Cortical